Acrodermatitis enteropathica - is due to deficiency of-
1. Selenium
2. Copper
3. Zinc
4. Iron

Correct answer: 3. Zinc

Explanation: Ans. is 'c' i.e., Zinc o Keshan diseaseCardiomyopathy associated with selenium deficiency,o Wilson diseaseAutosomal recessive.Defective metabolism of copper leads to copper toxicity.Deficiency of ceruloplasmin.Presence of KF ring in cornea,o Acrodermatitis enteropathicaDeficiency of zinc.Dermatitis of extremities & around orifices.